The connection between External and Internal Jugular vein is
1. Posterior External Jugular vein
2. Oblique Jugular vein
3. Anterior Jugular vein
4. Transverse cervical vein

Correct answer: 2. Oblique Jugular vein

Explanation: In the middle of the neck, the internal jugular vein may communicate with the external jugular vein through the oblique jugular vein which runs across the anterior border of the sternocleidomastoidReference: Chourasia; 6th edition; 86th page